Best Hormonal contraceptive for sickle cell anemia patient is
1. Ocp
2. Pop
3. Cu-T
4. None

Correct answer: 2. Pop

Explanation: POP is contraindicated in liver diseases, vascular disorders and breast cancer. It is safe in sickle cell anaemia.